A normotensive patient with normal hemoglobin suffered massive blood loss. The following findings could be expected, except:
1. Increased PCV
2. Increased MCV
3. Thrombocytosis
4. Reticulocytosis

Correct answer: 1. Increased PCV

Explanation: PCV in a previously normal patient suffering from massive blood loss is either normal or low. Massive blood loss will result in increased Mean Corpuscular Volume, thrombocytosis and reticulocytosis. In acute blood loss, reticulocytes will increase in blood and reach a maximum level in 7 to 10 days after the hemorrhage is controlled. Packed cell volume (PCV) is a measure of the percentage of red blood cells to the total blood volume and represents the haematocrit. Ref: Harrison's Principles of Internal Medicine, 17th Edition, Page 652; Chaudhury 5th Edition, Page 29 ; Wintrobe's Haematology 11th Edition, Page 975.